Sec. 176 CrPC is related to:
1. Coroner inquest
2. Summons
3. Police inquest
4. Magistrate inquest

Correct answer: 4. Magistrate inquest

Explanation: Ans. Magistrate inquest